Painless, heavy, recurrent bleeding of sudden onset is seen in:
1. Cervical carcinoma
2. Circumvallate placenta
3. Placenta praevia
4. Abruptio placentae

Correct answer: 3. Placenta praevia

Explanation: Ans. C: Placenta Praevia Bleeding in abruption placentae is painful and continuous Bleeding in circumvallate placenta is slight.